First line therapy in smoking dependence:
1. Nicotine replacement gum
2. Rimonabant
3. Naloxone
4. Acute cessation

Correct answer: 1. Nicotine replacement gum

Explanation: (Ref: Katzung, 14th ed. pg. 584)Treatment of smoking dependence:* First line: Nicotine replacement therapy (gum, patch, inhaler).* Bupropion and Varenicicline (Nicotine receptor agonist): Also, first line. Considered more effective.* 2nd line: Clonidine and Nortryptiline* Rimonabant: Cannabinoid receptor inverse agonist. Withdrawn due to increased depression and suicide risk.